Not used in health care planning
1. To match with limited resources
2. Increasing demands for resources
3. To plan best course of action
4. To decrease wastage

Correct answer: 2. Increasing demands for resources